Sweet syndrome includes all the following except
1. Fever
2. Lymphadenopathy
3. Erythematous skin lesions
4. Arthralgia

Correct answer: 2. Lymphadenopathy

Explanation: Sweet syndrome is characterized by pink-red to red-brown edematous plaques that are frequently painful and occur primarily on the head, neck, and upper (and, less often, lower) extremities. The patients also have a fever, neutrophilia, and a dense dermal infiltrate of neutrophils in the lesions. Extracutaneous sites of involvement include joints, muscles, eye, kidney (proteinuria, occasionally glomerulonephritis), and lung (neutrophilic infiltrates). There is no lymphadenopathyIn ~10% of the patients, there is an associated malignancy, most commonly acute myelogenous leukemia.The sweet syndrome has also been reported with inflammatory bowel disease, systemic lupus erythematosus, and solid tumors (primarily of the genitourinary tract) as well as drugs (e.g., all-trans-retinoic acid, granulocyte colony-stimulating factor ).Ref: Harrison's Textbook of Internal Medicine; 19th edition; Chapter 72 Skin Manifestations of Internal Disease; Page no: 366